A 16 year old female patient reported with chief complaint of small ulcers on the cheek and tongue since once week. Mild rise in temperature was noted on general examination. On oraL examination, multiple ulcers were noted on the buccal and labial mucosa. She also reported that she is having her board exams in a week.

The management of such a case would be
1. Antibiotics and analgesics
2. Symptomatic treatment, topical steroids and relaxation
3. Anti-fungal medications
4. Systemic steroids

Correct answer: 2. Symptomatic treatment, topical steroids and relaxation